The following is not a feature of Alzeimer's disease?
1. Neurofibrillary tangles
2. Senile (neuritic) plaques
3. Amyloid angiopathy
4. Lewy bodies

Correct answer: 4. Lewy bodies

Explanation: Ans. is d ' i.e.;Lewy bodies Important pathological findings in Alzheimer's disease. i) Cortical atrophy with sidening of the cerebral sulci. ii) Compensatory ventricular enlargement Hydrocephalus exvacuo. iii) Neuritic (senile) plaques Made up of A f3,0 & A1342. iv) Diffuse plaques --> Contain Ab42. v) Neurofibrillary tangles --> Contain tau protein vi) Cerebral amyloid angiopathy. vii) Granulovascular degeneration Hirano bodies